What is the use of migalastat approved by FDA in 2018 August?
1. Fabry's disease
2. Breast cancer
3. Glycogen storage disorder
4. HIV

Correct answer: 1. Fabry's disease

Explanation: migalastat is a pharmacological chaprone that reversibily binds to the active site of alpha galactosidase A protein which is deficient in fabrys disease. Ref:www.pubchem.ncbi.nlm.nih.gov/megalastat.